Hera lal 35 years old man was found +ve for HBsAg & HBeAg, accidentally during screening of blood donation. On Lab examination SGOT & SGPT are Normal. What should you do next :
1. Liver biopsy
2. Interferon therapy
3. Observation
4. HBV-DNA estimation

Correct answer: 4. HBV-DNA estimation

Explanation: Answer is D (HBV-DNA estimation) Like Hbe Ag, serum HBV DNA is an indicator of HBV replication, but tests for. HBV DNA are more sensitive and quantitative- Harrison 161h/1832 The marker HBV DNA is useful in following the course of HBV replication and thus deciding need for antiviral chemotherapy. Interferon therapy would be started after adjudging its need as indicated by HBV DNA testing. Liver biopsy would be too radical at this stage.